The commonest chromosomal abnormality in early spontaneous abortions is :
1. Monosomy
2. Autosomal trisomy
3. Triploidy
4. Tetraploidy

Correct answer: 2. Autosomal trisomy

Explanation: Autosomal trisomy